Ulceration of Peyer's patches occur in ... infection
1. Amoebiasis
2. Crohn's
3. Salmonella
4. Clostridium difficle

Correct answer: 3. Salmonella

Explanation: Ans. is 'c' i.e., Salmonellao The Peyer's patches show oval ulcers with their long axis along the length of the bowel in typhoid ulcer (salmonella infection).